Post exposure, Measles vaccine must be given within
1. 3-4 days
2. 10-Jul
3. 10-14 days
4. 1-6 months

Correct answer: 1. 3-4 days

Explanation: - IP of measles - 10 days - IP of vaccine induced measles - 7 days - For providing protection vaccine requires only 6-7 days. - So, vaccine should be used within 3-4 days of exposure.